Starlings law implies
1. Increased VR- increased CO
2. Increased discharge - increased CO
3. Increased HR- increased CO
4. Increased BP- increased CO

Correct answer: 1. Increased VR- increased CO

Explanation: This intrinsic ability of the heart to adapt to increasing volumes of inflowing blood is called the frank starling mechanism. Basically, the Frank-Starling mechanism means that the greater the heart muscle is stretched during filling, the greater is the force of contraction and the greater the quantity of blood pumped into the aorta.Ref: Guyton and Hall textbook of medical physiology 13th edition. Page: 119